Which of the following is known as Preisz Nocard bacillus
1. Corynebacterium diphtheria
2. Corynebacterium pseudotuberculosis
3. Influenza bacillus
4. Salmonella

Correct answer: 2. Corynebacterium pseudotuberculosis

Explanation: Corynebacteria of veterinary importance are Corynebacterium pseudotuberculosis. Also called as Preisz - Nocard bacilli. Causes pseudotuberculosis in sheeps and suppurative lymphadenitis in horses. Reference: Textbook of Microbiology; Anathanarayan and panicker's; 9th edition; Page no: 242